IVC pierces the diaphgram at what vertebral level
1. T6
2. T8
3. T10
4. T12

Correct answer: 2. T8

Explanation: the vena cava opening lies in the central tendon of the diaphragm at the level of T8, it transmit IVC.-BD CHAURASIA'S HUMAN ANATOMY LOWER LIMB ABDOMEN AND PELVIS VOL2 SIXTH EDITION PAGE NO 333